Nerve fibres carrying fast pain is
1. Aα fibres
2. Aδ fibres
3. B fibres
4. C fibres

Correct answer: 2. Aδ fibres

Explanation: Fast pain is carried by Aδ fibres
Slow pain is carried by C fibres